All of the following cause microcytic hypochromic anemia, except:
1. Lead poisoning
2. Thalassemia
3. Iron deficiency
4. Fanconi's anemia

Correct answer: 4. Fanconi's anemia

Explanation: d. Fan coni's anemia(Ref: Nelson's 20/e p 2323-2325, Ghai 8/e p 334-335)Fanconi's anemia presents as pancytopenia and normocytic normochromic anemia.